When the modified ridge lap pontic is further reduced, they are known as:
1. Lap facings.
2. Modified ridge lap facing.
3. Concave lap facing.
4. None.

Correct answer: 1. Lap facings.